Spiegel berg criteria is for -
1. Cervix
2. Fallopian Tubes
3. Ovaries
4. Uterus

Correct answer: 3. Ovaries

Explanation: Ans. is 'c' i.e., Ovaries Spiegel berg criteria are used for the diagnosis of ovarian ectopic pregnancy. Criteria is as followso Tube on the affected side must be intacto Gestational sac must be in the position of ovary,o Gestational sac is connected to uterus by ovarian ligament,o The ovarian tissue must be found on its wall on histological examination.